The most sensitive index of recent transmission of malaria in a community is -
1. Spleen rate
2. Infant parasite incidence
3. Annual parasite incidence
4. Slide positivity rate

Correct answer: 2. Infant parasite incidence

Explanation: - infant parasite rate is defined as the percentage of infants below the age of one year showing malaria parasites in their blood films. - It is regarded as the most sensitive index of transmission of malaria in a locality. Reference : Park's textbook of preventive and social medicine, 23rd edition pg no: 261